Lathyrism is due to:
1. Afla toxin
2. Beta oxalyl amino acid
3. Saccharin
4. Cyclamate

Correct answer: 2. Beta oxalyl amino acid

Explanation: The toxin present in lathyrus seeds has been identified as Beta oxalyl amino alanine (BOAA). Ref: Park's textbook of Preventive and Social Medicine, 21stedition, page-597